Right isomerism is?
1. Asplenia
2. Two spleens
3. One spleen
4. Polysplenia

Correct answer: 1. Asplenia